In pemphigus vulgaris, antibodies are present against –
1. Basement membrane
2. Intercellular substance
3. Cell nucleus
4. Keratin

Correct answer: 2. Intercellular substance

Explanation: Pemphigus is an autoimmune disease, with formation of antibodies to pemphigus antigen present in intercellular substance. Pemphigus antigens are desmoglein 3 & 1 in P. vulgaris and desmoglein 1 in P. foliaceous.